A child has respiratory distress, chest X-Ray shows multiple air filled space, the differential diagnosis is all except.
1. Congenital lung cyst
2. Congenital Diaphragmatic hernia
3. Congenital lobar aplasia of lung
4. Congenital adenomatous malformation

Correct answer: 3. Congenital lobar aplasia of lung

Explanation: C i.e. Congenital lobar aplasia of lung D/D of Multiple air filled intrathoracic mass Congenital diaphragmatic herniaQ Congential lobar emphysema Broncho-pulmonary malformations - Bronchogenic (Lung) CystQ - Broncho-pulmonary sequestration - Congenital Cystic adenomatoid malformationQ Pneumatocoel formation. In congenital lobar aplasia, there is hyperlucency not multiple air filled spaces (which are seen in congenital lobar emphysema.)Q